The extent of bony defects can be best estimated by
1. Long cone parallel radiographic technique
2. Sequential probing
3. Use of Florida probe
4. Transgingival probing

Correct answer: 4. Transgingival probing